Ligamentum teres is
1. Obliteration of umbilical vein
2. Obliteration of ductus venosus
3. Obliteration of ductus arteriosus
4. Obliteration of hypogastric artery

Correct answer: 1. Obliteration of umbilical vein

Explanation: Circulatory Changes at Birth:After birth, the umbilical vessels, ductus arteriosus, foramen ovale, and ductus venosus normally constrict or collapse. The more distal portions of the hypogastric arteries, which course from the level of the bladder along the abdominal wall to the umbilical ring and into the cord as the umbilical arteries, undergo atrophy and obliteration within 3 to 4 days after birth. These become the umbilical ligaments, whereas the intraabdominal remnants of the umbilical vein form the ligamentum teres. The ductus venosus constricts by 10 to 96 hours after birth and is anatomically closed by 2 to 3 weeks, resulting in the formation of the ligamentum venosumReference: William's Obstetrics; 24th edition; Chapter 7; Embryogenesis and Fetal Morphological Development